Which of the following is best indicator of prognosis of soft tissue sarcoma -
1. Tumor size
2. Histological type
3. Nodal metastasis
4. Tumor grade

Correct answer: 4. Tumor grade

Explanation: Ans. is 'd' ie tumor grade "Histologic grade remains the most important prognostic factor for patients with sarcomas."- Schwartz "Sabiston writes - Current staging system for soft tissue sarcoma focus on histological grade of the tumor, size of the primary tumor, and the presence or absence of metastasis. Histologic grade is a major prognostic determinant and is based on degree of mitosis, cellulaity, presence of necrosis, differentiation and stromal content"